Special visceral efferent DOESN'T include
1. Motor nucleus of fifth cranial nerve
2. Motor nucleus of seventh cranial nerve
3. Dorsal nucleus of tenth cranial nerve
4. Nucleus ambiguous

Correct answer: 3. Dorsal nucleus of tenth cranial nerve

Explanation: Dorsal nucleus of tenth cranial nerve belongs to GVE (general visceral efferent) neural column It supplies the three effectors under autonomic system: cardiac muscles, smooth muscles and glands. Special visceral efferent (SVE) neural column supplies skeletal muscles developing in pharyngeal arches. Ref: Gray's 39e/p-227